The function of the coupling agent in a restorative resin
is to allow:
1. Adhesion of resin particles
2. Bonding between filler crystals
3. Bonding between filler and resin
4. Bonding between tooth and resin

Correct answer: 3. Bonding between filler and resin